Hyperinflation of the lungs is prevented by
1. Hering Breuer reflex
2. Irritation reflex
3. Cushing reflex
4. Bainbridge reflex

Correct answer: 1. Hering Breuer reflex

Explanation: Hering-Breuer inflation reflex: This reflex is mediated by pulmonary stretch receptors in which inflation of lungs above a particular volume results in reflex inhibition of inspiration and union of expiration.
The reflex tends to limit the tidal volume while increasing the respiratory frequency.
Hering-Breuer deflation reflex: - Rapid deflation of lungs tends to initiate prolonged inspiration, i.e., reflex hyperpnea in response to deflation.